Anterior 2/3 of tongue develops from -
1. 1st branchial arch
2. 2ndbranchial arch
3. 3rd branchial arch
4. 4th branchial arch

Correct answer: 1. 1st branchial arch